Treatment of choice for diphtheria carriers is:
1. Erythromycin
2. Tetracycline
3. Penicillin
4. DPT

Correct answer: 1. Erythromycin

Explanation: Erythromycin